Thrombosis is initiated by
1. platelet activation
2. endothelial damage
3. Coagulation cascade
4. vasoconstriction of vessels

Correct answer: 2. endothelial damage

Explanation: ref : robbins 10th ed